Atavism is resemblence of features to
1. Mother
2. Father
3. Neighbour
4. Grandfather

Correct answer: 4. Grandfather

Explanation: Ans. is 'd' i.e. Grandfather "In Atavism the child does not resemble its parents but its grandparents" - Parikh, 6/e.